In retinal artery angiogram dye injected through?
1. Retinal artery
2. Antecubital vein
3. Ophthalmic artery
4. Femoral vein

Correct answer: 2. Antecubital vein

Explanation: Ans. is 'b' i.e., Antecubital vein Angiography for fundus examination Angiography is used for dynamic flow study of Iris ,Retina or choroid . Following types of angiographies are used:? Fluorescein Angiography : - Sodium fluorescein dye is used by injecting it into antecubital vein. It is primarily used for retinal artery angiography, but iris & choroid can also be examined. Indocyanine green Angiography :- It is used primarily for choroidal vasculature, especially in choroidal neovascular membranes (CNVM). Therefore, it is used in - i) The identification and delineation of poorly?defined or occult choroidal neovascularization, (ii) Retinal pigmented epithelium (RPE) detachments.